Brain is preserved in all of the following, except:
1. OPC poisoning
2. Alkaloid poisoning
3. Heavy metal poisoning
4. Volatile organic poisoning

Correct answer: 3. Heavy metal poisoning

Explanation: Ans. Heavy metal poisoning